Elongation arrest occurs due to
1. SRP- R
2. SRP
3. Signal peptide
4. Docking protein

Correct answer: 2. SRP

Explanation: B i.e. SRP